Fordyce's spots in oral cavity arise from
1. Mucous glands
2. Sebaceous glands
3. Taste buds
4. Minor salivary glands

Correct answer: 2. Sebaceous glands

Explanation: Fordyce's granules these are heterotropic sebaceous glands occurring in the oral mucosa. They present either as yellow-white point points, usually in the buccal mucosa or as plaque-like configurations They have no significance and no treatment is required.